All the following nerves are involved in entrapment neuropathy except -
1. Femoral nerve
2. Median nerve
3. Ulnar nerve
4. Lateral cutaneous nerve of thigh

Correct answer: 1. Femoral nerve

Explanation: Nerves involved in entrapement neuropathy are :- Median nerve, ulnar nerve, posterior tibial nerve, lateral cutaneous nerve of thigh, suprascapular nerve, common peroneal nerve, superficial peroneal nerve, digital nerves.